In pregnancy :
1. Plasma fibrinogen levels are increased
2. Fibrinogen levels are decreased
3. Thyroglobulins are decreased
4. IgD are markedly increased

Correct answer: 1. Plasma fibrinogen levels are increased

Explanation: Plasma fibrinogen levels are increased